Pleural effusion in rheumatoid arthritis is typically associated with the following features except-
1. Glucose > 60 mg/dl
2. Protein > 3 gm/dl
3. Pleural fluid protien to serum protein ratio of >0-5
4. Pleural fluid LDH to serum LDH ratio of >0-6

Correct answer: 1. Glucose > 60 mg/dl

Explanation: Ans. is 'a' i.e., Glucose > 620 mg/dl o When glucose in pleural fluid is less than 60mg/dl it is low glucose pleural fluid.Causes of Low glucose pleural fluido Malignancyo Rheumatoid arthritis o Empyemao Hemothoraxo Paragonimiasiso Churg strauss syndromeo Lupus pleuritis (occasionally)